Unexplained male hypersexuality is known as
1. Satyriasis
2. Undinism
3. Frotteurism
4. Eonism

Correct answer: 1. Satyriasis

Explanation: Ans. is 'a' i.e., Satyriasis * Satyriasis: Incessant sexual desire.* Undinism: In this, the sexual pleasure is often obtained by witnessing the act of urination by someone of the same or opposite sex.* Frotteurism: Sexual satisfaction is obtained by rubbing against persons in crowd. If they attempt intercourse, they have a premature ejaculation or they are impotent. It is an uncommon perversion and rarely occurs alone.* Transvestism = Eonism: A transvestite (trans = opposite, vista = clothing) is a person whose whole personality is dominated by the desire of being identified with the opposite sex. His dress, manner, occupational interest, and associations are all designed to increase his feeling of being a woman. Many cases are associated with sadomasochism/bondage. There is no hormonal disturbance or genital abnormality.